Most common nasal mass:
1. Polyp
2. Papilloma
3. Angiofibroma
4. None

Correct answer: 1. Polyp

Explanation: Benign conditions show a peak during second to fourth decade of life, while malignancy is generally observed only after the 4th decade. Polyps are the most common benign lesion, while squamous cell carcinoma is the most common malignant tumour of the sinonasal tract. Nasal obstruction is the most common symptom.